Ego's defence mechanism "Undoing" is typically seen in:
1. Depression
2. Schizophrenia
3. Obsessive compulsive neurosis
4. Hysteria

Correct answer: 3. Obsessive compulsive neurosis

Explanation: C .e. Obsession